Protein content in 100 grams of cow milk
1. 4.3
2. 3.2
3. 2.2
4. 1.2

Correct answer: 2. 3.2

Explanation: Ans. is 'b' i.e., 3.2